Remnant of notochord is-
1. Annulus fibrosus
2. Nucleus pulposus
3. Ligament flavum
4. Intertransverse ligament

Correct answer: 2. Nucleus pulposus

Explanation: Ans. is 'b' i.e., Nucleus pulposuso After development of verteral bodies, the notochord degenerates and disappears but persists as the nucleus pulposus of intervertebral disc.o Notochord is a bud like structure formed by epiblast cells extending from cranial end of primitive streak to caudal end of prochordal plate, in between the ectoderm and endoderm. Significances of notochord includes followingIt defines the axis of embryo.It functions as the primary inductor, inducing the overlying ectoderm to develop into neural plate (the primordiwn of CNS).iii) It serves as the basis for development of axial skeleton. The notochord is an intricate structure around which vertebral column is formed and indicates future site of vertebral bodies. However, the notochord does not give rise to vertebral column, after development of vertebral bodies, the notochord degenerates and disappears, but parts of it persist as the nucleus pulposus of intervertebral disc.